Stapedius is supplied by:
1. Maxillary nerve
2. Facial nerve
3. Auditory nerve
4. Mandibular nerve

Correct answer: 2. Facial nerve

Explanation: (b) Facial nerve(Ref Scott Brown, 8th ed., Vol 2, page 580)The stapedius muscle is a second arch derivative and therefore is supplied by the nerve of the 2nd arch, i.e. facial nerve.